All are components of personality except
1. Physical
2. Emotional
3. Cognition
4. Intelligence

Correct answer: 3. Cognition

Explanation: Physical,emotional ,intelligence and behaviour are the components of personality. Ref: p.734 25 th edition Park's textbook of Preventive and social medicine